Which of the following is not true in assessing skin fold thickness?
1. Measured at the triceps level
2. Measured to the nearest of 1 cm
3. Tanner's chart contains the normal values
4. Indirectly indicates the caloric reserve of the body

Correct answer: 2. Measured to the nearest of 1 cm

Explanation: Ans: (b) Measured to the nearest of 1 cmRef: Nutrition and Child Development, KE Elizabeth, 4th edition, Page 170Skin fold thickness - indicator of availability of caloric stores in the form of subcutaneous fat.Sites of measurement - triceps and sub scapular regionMeasured using Harpenden and Best type calipers to the nearest of 0.1 cmIts normal value is present in Tanners' chart (for both triceps and sub scapular area) and measurements below 90% of the standard are considered subnormal.